Most susceptible tissue to hypoxia
1. Muscle
2. Neurons
3. Hepatocytes
4. Myocytes

Correct answer: 2. Neurons

Explanation: Neurons are the most susceptible to hypoxia.Ref: Ganong's review of medical physiology 23rd edition Page no: 92